A 50 year old man had an attack of myocardial infarction and developed ventricular ectopics and low ejection fraction. Which of the following antiarrhythmic drug to be given -
1. Flecainide
2. Mexilitine
3. Beta-blocker
4. Radio-frequency ablation technique

Correct answer: 3. Beta-blocker

Explanation: Ans. is 'c' i.e., Beta-blockers "Beta-adrenoreceptor blocking agents are effective in abolishing ventricular ectopic activity in patients with acute MI .""Because of concerns about worsening arrhythmia and sudden death with most antiarrhythmic agents, beta- blockers are the agent of choice".